Dying declaration can be recorded by
1. Medical officer
2. Magistrate
3. Police officer
4. All of the above

Correct answer: 4. All of the above

Explanation: (D) All of the above # Dying Declaration:> Dying declaration can be recorded by Magistrate, Police officer, Doctor, Village headman or any person present during death.> If there is time ideally a magistrate should be called to record the dying declaration.> Dying declaration should be recorded in the man's own words and should be signed by him, the person recording it and two witnesses.